Dead space is increased by all, except:
1. Anticholinergic drugs
2. Standing
3. Hyperextension of neck
4. Endotracheal intubation

Correct answer: 4. Endotracheal intubation

Explanation: Endotracheal intubation